Valsartan differs from ramipril in the following respect:
1. It does not potentiate bradykinin
2. It can be safely administered to a patient with bilateral renal artery stenosis
3. It impairs carbohydrate tolerance
4. It does not have fetopathic potential

Correct answer: 1. It does not potentiate bradykinin